Gelle's phenomenon is absent in
1. CSOM
2. Tympanosclerosis
3. Meniere's disease
4. Otosclerosis

Correct answer: 4. Otosclerosis

Explanation: Gelle's test compares the intensity of bone conducted tuning fork sound without and with raising pressure on the tympanic membrane with Siegel's speculum. Normally, Gelle's test is positive because the intensity of hearing decreases when air pressure is raised in the external auditory canal. In ossicular fixation or ossicular discontinuity, increased air pressure makes no change in the sound intensity(Gelle's negative) Ref: Diseases of EAR, NOSE and Throat by PL Dhingra; 7th Edition; Page no.508